Which of the following parasite can enters through intact skin?
1. Giardia
2. Whipworm
3. Strongyloids
4. Trichinella

Correct answer: 3. Strongyloids

Explanation: ANSWER: (C) StrongyloidsREF: Jawetz, Melnick, & Adelberg's Medical Microbiology, 24th edition chapter 46 Table 46-4 Indirect repeat in December 2010, See APPENDIX-74 for "DISEASES DUE TO HELMINTHS" Skin penetration is seen in:Hookworms; Ancylostoma duodenale, Necator americanusStrongyloidesSchistosoma (Cercariae larvae)